All of the following cranial nerves contain somatic efferents, except
1. VII nerve (Facial nerve)
2. III nerve (Occulomotor nerve)
3. IV nerve (Trochlear nerve)
4. VI nerve (Abducent nerve)

Correct answer: 1. VII nerve (Facial nerve)

Explanation: The general somatic efferent fibres arise from the nuclei of GSE column, and supply the striated muscles of the limbs and body wall developing from somites.GSE column nuclei are:Oculomotor nucleusTrochlear nucleusAbducent nucleusHypoglossal nucleus(Ref: Vishram Singh textbook of clinical neuroanatomy second edition pg 91,92)